Which of the following does not predispose to leukemia?
1. Genetic disorder
2. Alcohol
3. Smoking
4. Chemical exposure

Correct answer: 2. Alcohol

Explanation: Ans. is 'b' i.e., Alcohol Leukemia risk factors1) Generala) Gender: Men are more likely to develop CML, CLL and AML than women.b) Age: The risk of most leukemias, with the exception of ALL, typically increases with age.2) Geneticsa) Family history: First degree relatives of CLL patients, or having an identical twin who has or had AML or ALL, increases the risk for developing the disease.b) Genetic diseases: AML has been associated with Down syndrome, Klinefelter syndrome, Patau syndrome, Fanconi anemia, Bloom syndrome, Ataxia telangiectasia, and Kostman syndrome, may play a role in the development of leukemia.3) Smoking: Smoking cigarettes does increase the risk of developing AML.4) Exposuresa) Radiation: Exposure to high-energy radiation (e.g., atomic bomb explosions) and intense exposure to low- energy radiation from electromagnetic fields (e.g., power lines).b) Chemical exposure: Long-term exposure to chemicals like benzene & ethylene oxide is considered to be a risk for leukemia.c) Drugs - alkylating agents & topoisomerase II inhibitors increase the risk of AML.5) Previous Cancer Treatment: Certain types of chemotherapy and radiation therapy for other cancers are considered leukemia risk factors.